One of the following is a definite sign of death due tob drowning :
1. Sand and mud in the mouth of nostrils
2. Fine lathery froth in the mouth of nostrils
3. Washerman's hands and feet
4. Diatoms in bone marrow

Correct answer: 4. Diatoms in bone marrow

Explanation: D i.e. Diatoms in bone marrow